A patient was operated for forearm fracture under general anesthesia under tourniquet. Following surgery, he was unable to move his fingers and there was sensory loss over the whole hand. Most common type of injury is:
1. Neuropraxia
2. Axonotmesis
3. Neurotmesis
4. None of the above

Correct answer: 1. Neuropraxia

Explanation: Ans. A. NeuropraxiaTourniquet paralysis is usually Neuropraxia. Application of tourniquet may press on all the nerves passing beneath it, resulting in mostly neuropraxia.